Which of the following drug is not used for the treatment of hypertensive emergencies
1. Phentolamine
2. Fenoldopam
3. Sod.Nitroprusside
4. Enalapril

Correct answer: 4. Enalapril

Explanation: Enalaprilat is an active form/metabolite of enalapril, an ACE inhibitor. Enalaprilat is used for hypertensive emergencies due to the rapid onset of action. Enalapril isn't used as it 1st has to get activated.Ref: Katzung 10th ed, pg 145